Pre-capillary sphincter relaxation is caused by
1. Local metabolites
2. Circulating catecholamines
3. Sympathetic activity
4. Fall in capillary pressure

Correct answer: 1. Local metabolites

Explanation: Muscle fibers of the capillaries are mostly controlled by the local metabolites as it does not have much sympathetic innervation.